All of the following are advantages of using raloxifene over estrogen in post-menopausal women EXCEPT:
1. Reduces fracture rates
2. Avoids endometrial hyperplasia
3. Reduces incidence of venous thrombosis
4. No increase in incidence of breast carcinoma

Correct answer: 3. Reduces incidence of venous thrombosis